Colorado tick fever is the only known human infection caused by
1. Reovirus
2. Coltivirus
3. Rotavirus
4. Corona virus

Correct answer: 2. Coltivirus

Explanation: Coltiviruses form another species within the Reoviridae. The virus particle is 80 nm in diameter with a genome consisting of 12 segments of double-stranded RNA, totaling about 29 kbp. Colorado tick fever virus, transmitted by ticks, is able to infect humans.Reference:Jawetz, Melnick, & Adelberg's Medical Microbiology; 27th edition; Chapter 37; Reoviruses, Rotaviruses, and Caliciviruses